Intraocular tension is nil after death in about:
1. 1 hour
2. 2 hours
3. 3 hours
4. 4 hours

Correct answer: 2. 2 hours

Explanation: Ans. B i.e. 2 hours